A patient of thrombosis if veins has been receiving coumarin therapy for three years. Recently she developed bleeding tendency .how will you reverse the effect of coumarin therapy
1. Protamine injection
2. Vitamin K injection
3. Infusion of fibrinogen
4. Whole blood transfusion

Correct answer: 2. Vitamin K injection

Explanation: Refer KDT 6/e p602 Vitamin k is used to reverse bleeding tendancy in warfarin overdose whereas fresh frozen plasma is treatment of choice for bleeding due to warfarin